Treatment of acute gout includes all except:
1. NSA1DS
2. Colchicines
3. Allopurinol
4. All of the above

Correct answer: 3. Allopurinol